Which of the following is not true regarding Wolff-Parkinson-White (WPW) syndrome?
1. No AV nodal delay
2. Delta wave is seen on ECG
3. Prolonged PR interval
4. Bundle of Kent

Correct answer: 3. Prolonged PR interval

Explanation: Wolff-Parkinson-White (WPW) syndrome Bundle of Kent is an aberrant anomalous path that connects SA node directly to the ventricles, bypassing the AV node. It is found in Wolff-Parkinson-White (WPW) syndrome There is no AV nodal delay. Hence, ventricular contraction starts very early, before its filling has occurs substantially. This will reduce the stroke volume In the absence of AV nodal delay, there is shortened PR interval on ECG. d ("delta") wave is seen on ECG; it results from the shortened PR interval.